The external carotid artery divides at the level of:
1. Angle of mandible
2. Neck of mandible
3. Oblique line of thyroid cartilage
4. Lower border of cricoid cartilage

Correct answer: 2. Neck of mandible

Explanation: External carotid: It is the one of the terminal branches of common carotid artery and lies anterior to internal carotid artery. External carotid artery starts at the level of upper border of thyroid cartilage, runs upwards and laterally to terminate behind the neck of mandible by dividing into larger maxillary and smaller superficial temporal branches.